Ultrasound of a 36 year of gravida reveals small grape-like cystic structures without the evicence of a developing embryo. A diagnosis of complete most likely reveal that the :
1. Genotype of the mole is a 46XXX and is completely paternal in origin
2. Genotype of the mole is triploid
3. hCG levels are markedly decreased
4. Serum levels of alpha-fetoprotein are elevated

Correct answer: 1. Genotype of the mole is a 46XXX and is completely paternal in origin

Explanation: Genotype of the mole is a 46XXX and is completely paternal in origin